Paul Bunnell test for -
1. Maltafever
2. Typhusfever
3. Entericfever
4. Infectious mononucleosis

Correct answer: 4. Infectious mononucleosis

Explanation: Ans. is 'd' i.e., Infectious mononucleosis Laboratory diagnosis of IMN1. Heterophile antibodies testo The standard diagnostic procedure in children and young adults is heterophile antibodies test - Paul - Bunnell Testo A titre of 40 fold or greater is diagnostic of acute EBV infection in a patient who has symptoms compatible with infectious mononucleosis,o Test usually remains positive for 3 months.o Test is usually negative in children < 5 years, in elderly or in patients with symptoms not typical of infectious mononucleosis.o Monospot test for heterophile antibodies is more sensitive than the classical heterphile test.2. EBV specific antibody testo Used in patients who lack heterophile antibodies (children < 5 years) and for patients with atypical presentation.anti-viral capsid antigen (anti-VCA)-most commonanti-EBV nuclear antigen (anti-EBNA)anti - early antigen (anti - EA)